Syncope:
1. Is associated with bradycardia and loss of consciousness
2. Never occurs in children
3. Always associated with hypoglycemia
4. Best treated in a sitting posture

Correct answer: 1. Is associated with bradycardia and loss of consciousness